All of the following proteins are synthesized by the liver EXCEPT:
1. Haptoglobin
2. Antithrombin-III
3. Von wilebrand factor
4. Hemopexin

Correct answer: 3. Von wilebrand factor

Explanation: Ans. C Von Wilebrand factorRef: Ganongy 25th ed. pg. 563Von wilebrand factor is synthesized by endothelial cells.HaptoglobinBinds and transports free hemoglobin in blood released after intravascular hemolysisAnti-thrombin IIIProtease inhibitor of intrinsic coagulation systemHemopexinBinds to porphyrins particularly for heme recycling.